The main enzyme responsible for activation of xenobiotics is (detoxification)
1. Cytochrome P-450
2. Glutathione S-transferase
3. NADPH cytochrome P-450-reductase
4. Glucuronyl transferase

Correct answer: 1. Cytochrome P-450